Granuloma is pathological feature of all except
1. Giant cell arteritis
2. Microscopic polyangitis
3. Wegener's granulomatosis
4. Churg Strauss disease

Correct answer: 2. Microscopic polyangitis

Explanation: Ref Robbins 7/e p540 Microscopic polyangiitis (MPA) is a disorder that causes blood vessel inflammation (vasculitis), which can lead to organ damage. The kidneys, lungs, nerves, skin, and joints are the most commonly affected areas of the body.